Ipsilateral third nerve lesion and contralateral ataxia
1. Weber syndrome
2. Claude's syndrome
3. Wallenberg's syndrome
4. Parinaud syndrome

Correct answer: 2. Claude's syndrome

Explanation: A third nerve palsy with contralateral ataxia (Claude's syndrome) or with contralateral hemiplegia (Weber's syndrome)The constellation of vertigo, numbness of the ipsilateral face and contralateral limbs, diplopia, hoarseness, dysarthria, dysphagia, and ipsilateral Horner's syndrome is called the lateral medullary (or Wallenberg's) syndromeParinaud's syndrome Also known as dorsal midbrain syndrome, this is a distinct supranuclear vertical gaze disorder caused by damage to the posterior commissure.Ref: Harrison 19e pg: 2575